The mydriatic drug with short duration of action is
1. Cyclopentolate
2. Tropicamide
3. Homatropine
4. Atropine

Correct answer: 2. Tropicamide

Explanation: Tropicamide, is a medication used to dilate the pupil and help with examination of the eye. Specifically it is used to help examine the back of the eye. It is applied as eye drops. Effects occur within 40 minutes and last for up to a day.